Septal hematoma is treated with:
1. Incision/ drainage
2. Antibiotics
3. Nasal packing
4. Decongestants

Correct answer: 1. Incision/ drainage

Explanation: If a septal hematoma is present, the hematoma should be incised, drained, and packed to prevent recurrence. Prompt treatment of septal hematomas should prevent complications such as ischemia of the septal cartilage, which can lead to permanent necrosis and a saddle-nose deformity.